Drug of choice in complex partial seizure is :
1. Phenytoin
2. Valproate
3. Carbamazepine
4. Phenobarbitone

Correct answer: 3. Carbamazepine